A 45-year-old crane operator at a construction site with pre-existing seropositive rheumatoid arthritis complains of progressive difficulty in breathing. On examination - Rheumatoid nodules are also present. Chest X-ray was performed. What is the diagnosis?
1. Caplan syndrome
2. Felty syndrome
3. Bronchiolitis obliterans organizing pneumonia
4. Lung cancer

Correct answer: 1. Caplan syndrome

Explanation: CXR of this patient is suggestive of - Pneumoconiosis On examination - Rheumatoid nodules are also present. This points to diagnosis of Caplan syndrome. CAPLAN Syndrome: Coal worker pneumoconiosis + Rheumatoid nodules Felty's syndrome- Rheumatoid arthritis with splenomegaly and neutropenia